Autoclaving is not useful for disposal of:
1. Surgical dressings
2. Metallic instruments
3. Petri dishes
4. Liquid paraffin

Correct answer: 4. Liquid paraffin

Explanation: Ans. (d) Liquid paraffinRef : K. Park 23rd ed. /128* Autoclaving is a method of disinfection mainly used for surgical dressings, instruments, laboratory wares, media and pharmaceutical products.* Principle: Steam + High pressure (~ 30 psi) and temperature 121 C.* Efficiency test of autoclaving: spores of Bacillus Stearothermophillus.